The mechanoreceptors in joints and ligaments are:
1. Fast adapting
2. Slow adapting
3. Non adapting
4. Adapt differentially for different stresses

Correct answer: 2. Slow adapting

Explanation: Ans. b. Slow adaptingRapidly adapting (phasic) receptors: Meissner's and Pacinian corpuscles.Slowly adapting (tonic) receptors: Merkel cells and Ruffini endings, muscle spindle and nociceptors. Light touch would be distracting if it were persistent; and, conversely, slow adaptation of spindle input is needed to maintain posture.Stretch receptors in joints and ligaments are needed to maintain the posture, hence, they are slowly adapting in natureThe mechanostretch receptors in joints and ligaments are slow adapting